Which one of the following drugs is used for fetal therapy of congenital adrenal hyperplasia
1. Hydrocortisone
2. Prednisolone
3. Fludrocortisone
4. Dexamethasone

Correct answer: 4. Dexamethasone

Explanation: These patients with congenital adrenal hyperplasia require lifelong treatment.
Patients with salt wasting and virilizing forms should be treated with hydrocortisone(10-15 mg/m2/day)and fludrocortisone (0.1mg/day).
After completion of growth, synthetic glucocorticoid preparations( dexamethasone, prednisolone)can be used